The main reservoir for entamoeba histolytica is
1. Man
2. Dirty water
3. Soil
4. Ponds

Correct answer: 1. Man

Explanation: Ans. is `a' i.e., Man